As per national immunization schedule, 1ST DPT booster has to be given at
1. 5-6 yrs
2. 16-24 months
3. 18 weeks
4. 16 years

Correct answer: 2. 16-24 months

Explanation: DPT is given at 6,10,14 weeks 1st booster at 16-24 months and 2nd booster at 5-6yrs Ref: Textbook of Microbiology Baveja 5th ed Pg 612